The type of mammary ductal carcinoma in situ most likely to result in a palpable abnormality in the breast is
1. Apocrine DCIS
2. Neuro endocrine DCIS
3. Will -differentiated DCIS
4. Comedo DCIS

Correct answer: 4. Comedo DCIS

Explanation: Refer Robbins page no necrosis DCIS can be divided into two major architectural subtypes, comedo and noncomedo (Fig. 23-17). Some cases of DCIS have a single growth pattern, but most are comprised of a mixture of patterns. Nuclear grade and necrosis are better predictors of local recurrence and progression to invasion than architectural type. Comedo DCIS may occasionally produce vague nodularity, but more often it is detected on mammography as clustered or linear and branching areas of calcification (Fig. 23-17A). It is defined by two features: (1) tumor cells with pleomorphic, high-grade nuclei and (2) areas of central